Heerfordt's disease is characterised by all of the following except:
1. Unilateral non-granulomatous panuveitis
2. Painful enlargement of parotid glands
3. Cranial nerve palsies
4. Skin rashes, fever and malaise

Correct answer: 1. Unilateral non-granulomatous panuveitis

Explanation: Ans. Unilateral non-granulomatous panuveitis